Which of the following does not changes in the old age:
1. GFR
2. Glucose tolerance
3. Haematocrit
4. Blood pressure

Correct answer: 3. Haematocrit

Explanation: C i.e. Hematocrit